Bilateral congenital dislocation of hip is associated with all, EXCEPT:
1. Lordotic spine
2. Excess genu valgum
3. Waddling gait
4. Shelton's line deformity

Correct answer: 2. Excess genu valgum

Explanation: Widening of perineum and marked lumbar lordosis is the striking feature of B/L dislocation of hip. In a child with b/l dislocation of hip, there is alternate lurching on both sides (Waddling gait). A child with u/l dislocation exhibits a typical gait in which the body lurches to the affected side (Trendelenburg's gait). Girls are affected six times more than boys and usually have short stature X-ray shows breaks in shenton's line (It is an imaginary semicircular line joining medial cortex or femoral neck to lower border of the superior pubic ramus) Etiology includes: genetic factors, hormonal factors in last weeks of pregnancy, breech malposition, postnatal factors ( there is experimental evidence that simultaneous hip and knee extension leads to the dislocation during early development) Barlow's test, ortolani's test, Telescopy test, Trendelenburg test and Galeazzi's sign may be positive. Also know Maintenance of reduction is done by cast: Frog leg/Lorenz cast or Bachelor cast and by splint: Von Rosen splint Acetabular reconstruction procedure are: salter's osteotomy, Chiari's displacement osteotomy and pemberton's pericapsular osteotomy. Ref: Apley's 8/e, Page 409-17; Maheshwari 3/e, Page 200-05.